Peripheral nerve thickening is not seen in
1. GBS
2. Charcot Marie Tooth disease
3. Refsum's disease
4. Leprosy

Correct answer: 1. GBS

Explanation: (A) GBS# Guillain-Barre syndrome (GBS) is an acute inflammatory demyelinating polyneuropathy (AIDP), an autoimmune disorder affecting the peripheral nervous system, usually triggered by an acute infectious process. It is included in the wider group of pe-ripheral neuropathies. There are several types of GBS, but unless otherwise stated, GBS refers to the most common form, AIDP.It is frequently severe and usually exhibits as an ascending paralysis noted by weakness in the legs that spreads to the upperlimbs and the face along with complete loss of deep tendon reflexes. With prompt treatment by plasmapheresis or intravenousimmunoglobulins and supportive care, the majority of patients will regain full functional capacity